The technique of laproscopic cholecystectomy was first described by?
1. Erich Muhe
2. Phillip Mouret
3. Kurt Semm
4. Eddie Reddick

Correct answer: 1. Erich Muhe

Explanation: Ans. a. Erich Muhe The technique of laproscopic cholecystectomy was first described by Erich Mu he."Eric Muhe performed the first laparoscopic cholecystectomy in 1982. He used a modified operating laparoscope placed at the umbilicus after establishing pneumoperitoneum. - Bhangar t 5/e p5l2History of laparoscopic Cholecystectomy* Dr. Kurt Semm, the father of "pelviscopy," performed the first laparoscopic appendectomy in 1980y.* Eric Muhey performed the first laparoscopic cholecystectomy in 1982. He used a modified operating laparoscope placed at the umbilicus after establishing pneumoperitoneum.* In 1987, Phillipe Mouret performed the first video laparoscopic cholecystectomy by using a camera attached to the laparoscope.